The grain which can be used safely in Celiac sprue is-a) Cornb) Ryec) Barely d) Rice
1. b
2. c
3. ad
4. ab

Correct answer: 3. ad